Retromylohyoid curtain is formed by all EXCEPT
1. Superior constrictor
2. Palatoglossal muscle
3. Mylohyoid
4. Masseter

Correct answer: 4. Masseter